In carcinoma breast supraclavicular lymph node involvement is which stage
1. II
2. IIIB
3. IIIC
4. IV

Correct answer: 3. IIIC

Explanation: .TNM Staging Tumour: 1. T1 --Tumour size < 2 cm in greatest diameter. (T1a--0.1-0.5 cm; T1b--0.5-1 cm; T1c--1-2 cm). 2. T2--Size 2-5 cm. 3. T3--Size >5 cm. 4. T4--Tumour fixed to chest wall or skin. (T4a--Fixed to chest wall; T4b--Fixed to skin; T4c--T4a +T4b; T4d--inflammatory carcinoma of breast). Node: N0-- No nodes. N1-- Axillary nodes mobile (ipsilateral). N2-- Axillary nodes fixed to one another and other structures (or only internal mammary lymph nodes are involved but not axillary nodes). N3 -- Supraclavicular nodes. Oedema of arm and internal mammary lymph nodes (ipsilaterally) (or-internal mammary lymph nodes and also axillary lymph nodes are involved). ref:SRB's manual of surgery,ed 3,pg no 476